The skin pigmentation in bronze diabetes is due to-
1. Hemosiderin
2. Lipofuscin
3. Melanin
4. Both melanin & hemosiderin

Correct answer: 4. Both melanin & hemosiderin

Explanation: Skin pigmentation in bronze diabetes (Hemochromatosis)
→Predominantly due to increased epidermal melanin production
→Partly attributed to hemosiderin deposition in dermal macrophages and fibroblasts.